In Werner Syndrome, most common site of Gastrinoma is?
1. Pancreas
2. Stomach
3. Colon
4. Small Intestione

Correct answer: 4. Small Intestione

Explanation: Small Intestine REF: Harrison's Internal Medicine 17" edition Chapter 344, Advanced therapy in gastroenterology and liver disease 5th edition by Kenneth L. Franco, Theodore M. Bayless, Anna Diehl Page 156 "Gastrimomas are either associated with MEN I syndrome (30%) or sporadic (70%). Duodenal gastrimomas is the most frequent site for both the forms" Most gastrinomas (50-70%) are present in the duodenum, followed by the pancreas (20-40%) and other intraabdominal sites (mesentery, lymph nodes, biliary tract, liver, stomach, ovary). Three cases with two extraabdominal sites have been described: gastrinomas of the left ventricular septum of the heart and non-small cell lung cancer. In MEN-1, the gastrinomas are also usually in the duodenum (70-90%) or the pancreas (10-30%), and they are almost always multiple._